Alport syndrome is noted because of defect in what type of collagen
1. Collagen type I
2. Collagen type IV
3. Collagen type III
4. Collagen type VII

Correct answer: 2. Collagen type IV

Explanation: Alport syndrome is caused by mutations in COL4A3, COL4A4, and COL4A5, three of six human genes involved in basement membrane (type IV) collagen biosynthesis. ... Basement membranes are thin, sheet-like structures that separate and support cells in many tissues. Ref ganong's review of medical physiology 25e p540